Rugger jersey spine in CRF is due to -
1. Osteomalacia
2. Trauma
3. Hyperparathyroidism
4. Aluminium osteodystrophy

Correct answer: 3. Hyperparathyroidism

Explanation: A common finding in secondary hyperthyroidism associated with renal osteodystrophy is the osteosclerosis resulting in typical appearance of the vertebral bodies as seen in the rugger - jersy spine.